Which of the following is not a coagulative necrosis?
1. Myocardial infarct
2. Kidney infarct
3. Brain infarct
4. Adrenal infarct

Correct answer: 3. Brain infarct

Explanation: For obscure reasons, the hypoxic death of cells within the central nervous system often evokes liquefactive necrosis.( Robbins Basic Pathology, 9th edition, page 10 )